Which of the following drugs does not activate opioid receptors, has been proposed as a drug in the management of opioid addiction and with just a single dose blocks the action of injected heroin for up to 48 hours ?
1. Amphetamine
2. Buspirone
3. Methadone
4. Naltrexone

Correct answer: 4. Naltrexone